SSRIs should be carefully used in the young for the management of depression due to increase in?
1. Nihilism ideation
2. Guilt ideation
3. Suicidal ideation
4. Envious ideation

Correct answer: 3. Suicidal ideation

Explanation: Ans. C. Suicidal ideationIn 2003, th UK Medicine and Health Care products regulatory agency concluded that all SSNs, with the exception of fluoxetine, were contraindicated in the treatment of depression in young people due to increase in suicidal ideation and dubious efficacy.